All of the following are example of pick type of elevator except:
1. Crane pick
2. Root tip pick
3. Cryer's elevator
4. Apex elevator

Correct answer: 3. Cryer's elevator